Property of elution is found in -
1. Myxoviras
2. Togavirus
3. Parvovirus
4. Adenovirus

Correct answer: 1. Myxoviras

Explanation: Ans. is 'a' i.e., Myxovirus Elution . A large number of viruses agglutinate erythrocytes from different species -9 Hemagglutination . Hemagglutination of influenza virus is due to presence of hemagglutinin spikes on the surface of virus . Influenza virus also has neurominidase, which destroys the receptors and leads to reversal of hemagglutination. This called as elution. . Elution is found only in the myxoviruses that possess neuraminidase. . With other viruses hemagglutination is stable.